A darkfield microscope would be useful in examining blood for:
1. Treponema
2. Actinomyces
3. Streptococcus
4. Mycobacterium

Correct answer: 1. Treponema